Which of the following nerve does not supply submandibular gland
1. Lingual nerve
2. Chorda tympani
3. Sympathetic plexus
4. Auriculotemporal nerve

Correct answer: 4. Auriculotemporal nerve

Explanation: Their secretions of submandibular gland, like the secretions of other salivary glands, are regulated directly by the parasympathetic nervous system and indirectly by the sympathetic nervous system.Parasympathetic innervation to the submandibular glands is provided by the superior salivatory nucleus the chorda tympani, a branch of the facial nerve that synapses in the submandibular- ganglion after which it follows the Lingual nerve leaving this nerve as it approaches the gland. The sympathetic nervous system regulates submandibular secretions through vasoconstriction of the arteries that supply it. Increased sympathetic activity reduces glandular blood flow, thereby decreasing salivary secretions and producing an enzyme rich mucous saliva.